A defect in the enzyme hexosaminidase causes
1. Gaucher disease
2. Farber disease
3. Tay-Sachs disease
4. Krabbe disease

Correct answer: 3. Tay-Sachs disease

Explanation: DiseaseEnzyme DeficiencyClinical SymptomsTay-Sachs disease Hexosaminidase AMental retardation, blindness, muscular weaknessRef: Harper's Biochemistry; 30th edition; Chapter 24 Metabolism of Acylglycerols & Sphingolipids